To achieve a NRR of 1, Couple protection rate should be:
1. More than 30%
2. More than 40%
3. More than 50%
4. More than 60%

Correct answer: 4. More than 60%

Explanation: Ans. D: More than 60% Couple protection rate is an indicator of the prevalence of contraceptive practice in the community. It is defined as the percent of eligible couples effectively protected against childbirth by one or the other approved methods of family planning. CPR is based on the observation that 50-60% of births in a year are of birth order 3 or more. Thus attaining a 60% CPR will be equivalent to cutting off almost all third or higher order births, leaving 2 or less surviving children per couple So demographic goal of NRR=1 can only be achieved only if the CPR exceeds 60%.